True regarding presentation of primary T.B. is
1. B/L pleural effusion with negative Tuberculin test
2. U/L hilar lymphadenopathy
3. Sustained chronic pyrexia
4. B/L pleural effusion with positive tuberculin test

Correct answer: 2. U/L hilar lymphadenopathy

Explanation: Answer is B (Unilateral hilar lymphadenopathy): Unilateral hilar lymphadenopathy as part of the primary complex is a characteristic feature of primary tuberculosis Primary tuberculosis: It is the first infection with tubercle bacilli in individuals who have not been previously exposed to the organisms Seen in children Q Primary complex is characteristic Primary (Ghon) complex Unilateral enlarged hilar lymph nodes (1 Ghon focus Q:Epitheloid-cell granulomatous inflammation (consolidation) at site of parenchymal infection. Usually small and subpleural most commonly located under pleura in lower part of upper lobe Usually a symptomatic Q or manifested by a mild flu like illness at time of tuberculin conversion